When a person moves from a supine position to a standing position, which of the following compensatory changes occurs?
1. Decreased heart rate
2. Increased contractility
3. Decreased total peripheral resistance (TPR)
4. Decreased cardiac output

Correct answer: 2. Increased contractility

Explanation: When a person moves to a standing position, blood pools in the leg veins, causing decreased venous return to the heart, decreased cardiac output, and decreased arterial pressure. The baroreceptors detect the decrease in arterial pressure, and the vasomotor center is activated to increase sympathetic outflow and decrease parasympathetic outflow. There is an increase in heart rate (resulting in a decreased PR interval), contractility, and total peripheral resistance (TPR). Because both heart rate and contractility are increased, cardiac output will increase toward normal